Most common skin manifestation seen after 2 days of radiation therapy is?
1. Erythema
2. Atopy
3. Hyperpigmentation
4. Dermatitis

Correct answer: 1. Erythema

Explanation: A i.e. Erythema Most common early (acute) manifestation of local skin reaction is erythemaQ which is followed by desquamation